Embrasure clasp are usually used in cases of
1. Class I cases with modifications
2. Class II cases with modifications
3. Class III cases without modifications
4. All of the above

Correct answer: 3. Class III cases without modifications

Explanation: In the fabrication of an unmodified Class II or Class III partial denture, there are no edentulous spaces on the opposite side of the arch to aid in clasping. Mechanically, this is a disadvantage. However, when the teeth are sound and retentive areas are available or when multiple restorations are justified, clasping can be accomplished by means of an embrasure clasp.